All of the following causes death in coarctation of Aorta except -
1. Infective endocarditis
2. LVF
3. Intra cranial hemorrhage
4. Anterior MI

Correct answer: 4. Anterior MI